First organ to attain functional maturity is:
1. CVS
2. CNS
3. GIT
4. Lungs

Correct answer: 1. CVS

Explanation: Ans. A CVSRef: Netter's Clinical Anatomy, 3rd ed. pg. 35* CVS is the first fully functional organ system in fetus and first to attain maturity from functional perspective.